Coartaction of aorta is associated with
1. VSD
2. PDA
3. Bicuspid aortic valve
4. ASD

Correct answer: 3. Bicuspid aortic valve

Explanation: Coarctation of aorta is association with bicuspid aortic valve. Ref : Ghai essential of pediatrics, eighth edition, p.no:432